Which of the following type of fascia encloses the kidney and adrenal gland?
1. Colle's fascia
2. Buck's fascia
3. Gerota's fascia
4. Camper's fascia

Correct answer: 3. Gerota's fascia

Explanation: Kidney and the adrenal gland is enclosed within Gerota's fascia. Colle's fascia is the fascia of the anterior triangle of the perineum. Antero posteriorly it is continuous with the scarpa's fascia. It prevents the spread of infection in the posterior or lateral direction.Dartos fascia is the continuation of Colles fascia over the scrotum and penis.Buck's fascia lies deep to dartos fascia and covers the penile corpora. Camper's fascia is the loose areolar fascial layer deep to the skin of the abdominal wall but superficial to Scarpa's fascia. Together with Scarpa's fascia it is continuous with the Colle's fascia inferomedially.Ref: Emergencies in Urology edited by Markus Hohenfellner, page 52.